Most common cause of shock in M.I.-
1. Cardiogenic shock
2. Hypovolemic shock
3. Septic shock
4. Neurogenic shock

Correct answer: 1. Cardiogenic shock

Explanation: Ans. is 'a' i.e., Cardiogenic shocko Acute myocardial infarction is the most common cause of cardioeenic shock and is defined as a clinical event consequent to the death of cardiac mvocvtes that is caused by ischemiaFailure ofthe left or right ventricle (due to myocardial muscle dysfunction) to pump an adequate amount of blood is the primary cause of cardiogenic shock in myocardial infarction.Hypotension, tissue hypoperfusion and pulmonary congestion or systemic venous congestion results.